Charcot's triad includes all of the following except
1. Pain
2. Fever
3. Jaundice
4. Vomiting

Correct answer: 4. Vomiting

Explanation: Answer is D (Vomiting): Charcot's triad constitute the classical presentation of acute cholangitis and includes: Charcot's triad Abdominal pain High fever with rigors Jaundice